All are true regarding METHANOL poisoning except
1. Hemodialysis should be done when serum methanol concentration is above 50 mg/dl
2. Fomepizole acts by inhibiting aldehyde dehydrogenase
3. High anion gap metabolic acidosis is seen in severe cases
4. Visual disturbances are commonly seen

Correct answer: 2. Fomepizole acts by inhibiting aldehyde dehydrogenase

Explanation: Fomepizole is a alcohol dehydrogenase inhibitor not a aldehyde dehydrogenase inhibitor . visual disturbances due to formic acid. Ref: KD Tripathi 8th ed.